Loud S1 in mitral stenosis is seen in -
1. Prolonged flow through mitral valve
2. 1* degree heart block
3. Calcification of the valve
4. Immobilization of the valve

Correct answer: 1. Prolonged flow through mitral valve

Explanation: In MS, blood filling of ventricles is slow, So leaflets remain open / far apart when impulse for ventricular contraction reaches. So loud closure occurs. Ref Harrison 20th edition pg 1456